Fracture of the hyoid bone results from all except :
1. Throttling
2. Hanging
3. Choking
4. Ligature strangulation

Correct answer: 3. Choking

Explanation: C i.e. Choking - Burking is a method of homicidal smothering and traumatic asphyxiaQ. In smothering lips, gums, tongue, inner side of mouth & nose may show bruising or lacerationQ. Asphyxial signs (eg congestion, cynosis & patechiae) are severe except when the head & face is enclosed in plastic bag. In smothering, choking, gagging, there is no fracture of hyoid bone, because in these throat (neck) is not touched.